A 32 year old male, Kallu, who recently visited a sea coast presented with ulcer over the left leg. The probable cause is :
1. Pasturella multocida
2. Micrococcus halophillus
3. Vibrio vulnificus
4. Neisseria gonorrhea

Correct answer: 3. Vibrio vulnificus

Explanation: Ans. is 'c' i.e., Vibrio vulnificus V. vulnificus has been linked to 2 distinct syndromesPasturella multocida infection occurs after cat bite Here the pt. does not give any history of cat bite so It's ruled out.Gonococcal infections don't present as solitary ulcer. Though skin lesions are seen in gonococcal bacteriunia they are between 5-40.Micrococcus Gram (+ve) cocci occuring in pairs.They are parasitic on mammalian skin and ordinarily non pathogenic.